A one-year-old child presented with multiple fractures seen in various stages of healing. The most probable diagnosis is the case is -
1. Scurvy
2. Rickets
3. Battered baby syndrome
4. Fall from height

Correct answer: 3. Battered baby syndrome

Explanation: Battered baby syndrome

It is a term used to define a clinical condition in young children usually under 3 years of age who have received non-accidental violence or injury, on one or more occasions at the hands of an adult responsible for child's welfare.
This syndrome must be considered in any child


In whom degree and type of injury is at variance with the history given.
When injuries of different ages and in different stages of healing are found.
When there is a purposeful delay in seeking medical attention despite serious injury
Who exhibits evidence of fracture of any bone subdural hematoma failure to thrive, soft tissue swelling or skin bruising.
Who dies suddenly